All are features of cushing syndrome EXCEPT
1. Violaceous striae
2. Hyperkalemia
3. Thin skin
4. Hypertension

Correct answer: 2. Hyperkalemia

Explanation: i.e. (Hyperkalemia): (1111 - CMDT-11) (2255-H17th)* Hypokalemia, hypochloremia, and metabolic alkalosis are present particularly with ectopic production of ACTH (2255-H17th)* Hyperglycemia, glycosuria, leukocytosis, lymphocytopenia, hypokalemia (1111 - CMDT-11)Sign & Symptoms of Cushing Syndrome* Centripetal obesity**(97%)* Personality changes (Frank psychosis)* Increased body weight* Ecchymosis* Fatigability and weakness* Proximal myopathy* (muscle wasting)* Hypertension (BP >150/90)* Edema* Hirsutism* Polyuria, Polydipsia* Amenorrhea / oligomenorrhoa* Hypertrophy of clitoris* Broad violaceous cutaneous striae Obesity, hypertension, osteoporosis and diabetes - are non specific and therefore are less helpful in diagnosing the conditionPENDRED SYNDROME* Mutation of the Pendrin gene (7 q 31)* Bilateral sensorineural hearing loss due to development abnormalities of the cochlea and goiter with occasional hypothyroidism (only one and a half turns of cochlea)* Enlarged vestibular aqueducts* Deficiency of distal coils of the cochlea (Mondini deformity)* Autosomal recessive disorder* Goitre is generally diffuse, single thyroid may be the presentation* Intellectual disability can occurs due to hypothyroidism* Thyroid carcinoma has been observed because of the characteristically wild histology, malignancy may be incorrectly diagnosed